A pt. comes with stony hard, painless lymphnode in left supraclavicular fossa A biopsy report states Sq cell Carcinoma. What is the diagnosis -
1. Stomach carcinoma
2. Breast carcinoma
3. Lung carcinoma
4. Pancreas carcinoma

Correct answer: 3. Lung carcinoma

Explanation: Ans is 'c' ie. Lung Carcinoma Out of the 4 options only lung Ca is one which is of squamous cell histology . Rest 3 have squamous cell carcinoma in even less than 5 - 6% of cases. Stomach ---> MC is Adenocarcinoma* (95%) Pancreas --> MC is Duct cell adenocarcinoma* (85 - 90%) Breast --> Intraductal adenocarcinoma* (85%)